A 25 year old man presents with 3 days history of pain in the right lower abdomen and vomitings. patient's general condition is satisfactory and clinical examination reveals a tender lump in right iliac fossa. The most appropriate management in this case would be
1. Immediate appendicectomy
2. Exploratory laprotomy
3. Oschner Sherren regimen
4. External drainage

Correct answer: 3. Oschner Sherren regimen

Explanation: Ans. is 'c' i.e., Oschner Sherren regimen